Second common malignancy in Patients of Retinoblastoma is:
1. Osteoblastoma
2. Osteochondroma
3. Osteoclastoma
4. Osteosarcoma

Correct answer: 4. Osteosarcoma

Explanation: Osteosarcoma